Incremental lines of Retzius appear
1. As lines in the enamel running at right angles to the enamel surface
2. As lines in the dentin running at right angles to the dentino-enamel junction
3. In enamel and follow the apposition pattern
4. In dentin and follow the appositional pattern

Correct answer: 3. In enamel and follow the apposition pattern